What fraction of inhaled mercury vapour is retained in the body?
1. 45 - 50%
2. 55 - 65%
3. 65 - 85%
4. >85%

Correct answer: 3. 65 - 85%